Which of the following is not a common manifestation of Congenital Rubella –
1. Deafness
2. PDA
3. Aortic stenosis
4. Intellectual disability

Correct answer: 3. Aortic stenosis

Explanation: Nerve deafness is the single most common clinical finding among infant with congenital Rubella syndrome.
FDA is the most common CHD in congenital rubella syndrome.
Classical triad of congenital rubella consists of → Cataract, Deafness, CHD
Intellectual disability is also common.